Which is not anterior triangle of neck:
1. Digastrics
2. Subclavian
3. Carotid
4. Submental

Correct answer: 2. Subclavian